Which of the following drug is useful in prophylaxis of migraine ?
1. Propranolol
2. Sumatriptan
3. Domperidone
4. Ergotamine

Correct answer: 1. Propranolol